The appropriate approach to a neonate presenting with vaginal bleeding on day 4 of life is:
1. Administration of Vitamin K
2. Investigation for bleeding disorder
3. No specific therapy
4. Administration of 10 mL/kg of fresh frozen plasma over 4 hours

Correct answer: 3. No specific therapy

Explanation: c. No specific therapy(Ref: Nelson's 20/e p 63, Ghai 8/e p 134-136)Vaginal bleeding is seen only in female neonates, usually seen after 3-5 days of birth; Occurs due to fall in the level of sex hormones after birth when baby is disconnected from the placenta.